Risk of damage to fetus by maternal rubella is maximum if mother gets infected in
1. 6-12 weeks of pregnancy
2. 20-24 weeks of pregnancy
3. 24-28 weeks of pregnancy
4. 32-36 weeks of pregnancy

Correct answer: 1. 6-12 weeks of pregnancy

Explanation: The risk of congenital malformations following infections by teratogenic organisms is maximum in first trimester, so the best option is 6-12 weeks.